A boy presents with complaints of hypoaesthesia and wasting of thenar eminence. The nerve most likely to damage in this patient:-
1. Musculocutaneous nerve
2. Median nerve
3. Ulnar nerve
4. Radial nerve

Correct answer: 2. Median nerve

Explanation: Ans. is 'b' i.e. Median nerve The thenar muscle (except adductor pollicis) and the skin over thenar eminence are supplied by the median nerve.